Most common anatomocal lesion of tongue cancer is
1. Anterior third
2. Lateral margin
3. Dorsum
4. Posterior third

Correct answer: 2. Lateral margin

Explanation: Most of 60-70percent of cancer arise from lateral surface of middle third of tongue